In chronic glomerulonephritis the best urinary finding is
1. Albumin
2. Bacteria
3. Fixed Specific Gravity
4. RBC casts

Correct answer: 3. Fixed Specific Gravity

Explanation: In chonic glomerulonephritis the best urinary finding is low Fixed Specific Gravity. 
 
While in acute glomerulonephritis, most characteristic is Erythrocyte casts in urine.